Multifactorial inheritance is seen in -
1. Neurofibroma
2. Hemophilia
3. Cardiac septal defects
4. Hypophosphataemic rickets

Correct answer: 3. Cardiac septal defects

Explanation: Ans. (c) Cardiac septal defects(Ref: Robbins 9th/pg 158)Example of Complex Multigenic Disorders areHypertension, Diabetes mellitus, Coronary Artery disease, Septal defects, Cleft lip Q